Most common heavy metal poisoning in industrial workers in -
1. Lead
2. Arsenic
3. Mercury
4. Cadmium

Correct answer: 1. Lead

Explanation: Ans. is 'a' i.e., Lead * More idustrial workers are exposed to lead than any other toxic metal.